A body is brought for autopsy. On postmortem, there is dark brown postmortem staining and garlic odor in stomach. The poisoning is most likely due to:
1. Hydrocyanic acid
2. Carbon dioxide
3. Aniline dye
4. Phosphorus

Correct answer: 4. Phosphorus

Explanation: Ans. Phosphorus